Aminopeptidase is seen in:
1. Dental lamina.
2. Stratum intermedium.
3. Ameloblast.
4. Stratum reticulum.

Correct answer: 2. Stratum intermedium.

Explanation: Aminopeptidase is expressed in cells of stratum intermedium and odontoblasts during tooth development. Apart from this, it is also expressed in human osteoclasts and macrophages.